Cattle track appearance in fundoscopy is due to?
1. CRAO
2. CRVO
3. Retinitis pigmentosa
4. Diabetic retinopathy

Correct answer: 1. CRAO

Explanation: ANSWER: (A) CRAOREF: Elsevier Comprehensive Guide, page 628Common fundoscopy findings:ConditionFindingOptic disc colobomaMorning glory appearanceCRAOCattle track appearance CRVOBlood and thunder fundusChloroquine toxicityBull's eye maculopathyQuinine toxicityCherry red spotRetinitis pigmentosaWaxy pallor of optic disc Bone spicule pigmentationCongenital syphilis/ RubellaSalt and pepper fundusSickle cell anemiaRising sun signCMV retinitisMozzarella pizza fundusAIDSCotton wool spots